A patient of esophageal varices with liver span of 19cm. Likely causes -
1. Haemochromatosis
2. Alcoholic liver disease
3. Budd- chiary syndrome
4. All of the above

Correct answer: 4. All of the above